"Pauci immune" glomerulonephritis is seen in:
1. After transplant in Alports
2. Microscopic polyangitis
3. Henoch-Schonlein nephritis
4. Lupus

Correct answer: 2. Microscopic polyangitis

Explanation: Microscopic polyangitis